A lady with prolapsed uterus after Fothergill's repair will complain of following except:
1. First trimester abortion
2. Cervical dystocia
3. Premature labour
4. Premature rupture of membrane

Correct answer: 1. First trimester abortion

Explanation: In Fothergill's repair ceroidical amputation is done which leads to

Incompetent os
Habitual abortion (second-trimester abortion and not first trimester, as incompetent os, leads to second-trimester abortion)
Preterm deliveries
Premature rupture of membranes                                                                                                      
Other complications are decreased cervical fertility
Excessive fibrosis causes stenosis leading to dystocia during labour.
Hematometra (Very rare)
Recurrence of prolapse

Note: Since all these complications of Fothergill's are mainly due to amputation of cervix-Shirodkar's modification of Fothergill's operation (also called as Shirodkar's uterosacral ligament advancement surgery), is being done where amputation of the cervix is not done, rest all steps are same as Fothergill's repair.